Which of the following is not a pathological finding seen in alzhetmer's disease -
1. Cortical atrophy
2. Neurofibrillary tangles
3. Neuritic plaques
4. Lewy body

Correct answer: 4. Lewy body

Explanation: Ans. is 'd' i.e., Lewy body [Ref Robbin's 9th/e p. 1287-1292}Important pathological findings in Alzheimer's disease :-o Cortical atrophy with sidening of the cerebral sulcio Compensatory ventricular enlargemento Neuritic (senile) plaqueso Diffuse plaqueso Neurofibrillary tangleso Cerebral amyloid angiopathy,o Granulovascular degenerationo Hirano bodies - Hydrocephalus exvacuo.- Made up of A b40 & Ab42- Contain Ab42.-Contain tau protein